A child can ride a tricycle, copy a circle and knows age sex by the age of –
1. 30 months
2. 42 months
3. 36 months
4. 48 months

Correct answer: 3. 36 months